According to the treatment plan plaque control, root planning under:
1. Preliminary phase.
2. Etiotropic phase.
3. Surgical phase.
4. Restorative phase.

Correct answer: 2. Etiotropic phase.

Explanation: Phase 1 is also known as Etiotropic phase which includes plaque control, diet control, scaling, root planning and temporary restorations.